Seat belt injury commonly involves?
1. Spleen
2. Mesentry
3. Femoral artery
4. Abdominal aorta

Correct answer: 2. Mesentry

Explanation: Seat belt injury involves: Rupture ofmesentery or intestine or omentum 4 fold increased risk in thoracic trauma and 8 fold increase in abdominal trauma Shoulder belt may produce a linear abrasions Fracture of Lumbar spine